The rationale for giving prophylactic antibiotics at the beginning of a surgical procedure can be thought of as an attempt to prevent the bacteria from entering which of the following growth phases?
1. Death phase
2. Lag phase
3. Log phase
4. Phase of decline

Correct answer: 3. Log phase

Explanation: Ans. C. Log phase1. Max. size in lag phase2. Max. active, dividing, smaller cells with uniform staining in log phase3. Speculation, exotoxin production & antibiotic production occurs in stationary phase4. Involutional forms in phase of decline.